Which of the following is a feature of gram-positive bacteria rather than gram-negative bacteria?
1. Lipid A-containing lipopolysaccharide
2. Lipoprotein in periplasmic space
3. Outer membrane
4. Thick peptidoglycan cell wall

Correct answer: 4. Thick peptidoglycan cell wall

Explanation: Most of the features listed are those of gram-negative bacteria, which have a complex cell envelope consisting of a cytoplasmic (inner) membrane, a periplasmic space containing peptidoglycan and lipoprotein, an outer membrane, and sometimes a capsule. The outer membrane contains lipopolysaccharide which is a major component of endotoxin. The peptidoglycan cell wall of the gram-negative bacteria is thin, while that of the gram-positive bacteria is thick. Other features of gram- positive bacteria include a fairly simple surface with cytoplasmic membrane, peptidoglycan, cell wall, and sometimes, an outer capsule. The cell wall contains lipoteichoic acids.